Which of the following drugs has spasmolytic activity and could also be used in the managment of seizure caused by overdose of a local anesthetic
1. Baclofen
2. Dantrolene
3. Diazepam
4. Tizanidine

Correct answer: 3. Diazepam

Explanation: Diazrpam possesses following activaties Muscle relaxing Anticonvulsant Anti-anxiety. Sedative hypnotic Refer KDT 6/e p 396